Rorschach test measures
1. Intelligence
2. Creativity
3. Personality
4. Neuraticism

Correct answer: 3. Personality

Explanation: this is Rorschach Test. it was given by Herman Rorschach, a Swiss psychiatrist. it was developed 1910. The Rorschach test is the most frequently used projective personality instrument. it has in total of 10 cards 5 cards are black and white as mentioned in the image 2 cards are black and red and 3 cards are multicoloured cards based on the response a individul given , the patients personality is assessed. Reference: Kaplon and Sadock, synopsis of psychiatry, 11 th edition, page number:249